Benzathine Pencillin prophylaxis for rheumatic fever comes under
1. Primary prevention
2. Primordial Prevention
3. Secondary prevention
4. Tertiary prevention

Correct answer: 3. Secondary prevention

Explanation: Secondary prevention aims to detect and treat a disease early In RF, secondary prevention includes identifying those who have had RF and giving them inj benzathine penicillin (1.2 million units in adults and 600,000 units in children) at intervals of 3weeks. This must be continued for 5years or until the child reaches the age of 18years whichever is later. Ref : Park's Textbook of Preventive and Social Medicine; 23rd edition - Pgno. 381